Specific Learning Disability involves which of the following?
1. Writing
2. Reading
3. Mathematical skills
4. All of the above

Correct answer: 4. All of the above

Explanation: Ans. D. All of the aboveSLD may include:1. Specific learning disorder with impairment in reading (Dyslexia): Difficulty in recognizing words, slow & inaccurate reading, poor comprehension, difficulties with spelling.2. Specific learning disorder with impairment in written expression (specific spelling disorder):Writing skills-- sig below expected level for child's age & education. Components of writing disorder: poor spelling, errors in grammar and punctuation, & poor handwriting. Spelling errors are among the most common difficulties. Eg: fone for phone, or beleeve for believe.3. Specific learning disorder with impairment in mathematics (Dyscalculia):Have difficulty learning & remembering numerals,Cannot remember basic facts about numbers and are slow and inaccurate in computation.